To which of the following events is 'good' outcome in neuroblastoma associated -
1. Diploidy
2. N-myc amplification
3. Chromosome 1 p deletion
4. Trk A expression

Correct answer: 4. Trk A expression